Topical mitomycin C is used to aid the following treatment:
1. Endoscopic treatment of angiofibroma
2. Treatment of laryngotracheal stenosis
3. Skull base osteomyelitis
4. Tonsillectomy

Correct answer: 2. Treatment of laryngotracheal stenosis

Explanation: (b) Treatment of laryngotracheal stenosis(Ref. Cummings, 6th ed., 985; Scott Brown, 8th ed., Vol 3; 1088)Mitomycin C is an antineoplastic agent with anti- fibroblastic activity. It is used to decrease the chances of adhesions and fibrosis following surgery.In ENT it is used for:i. Laryngotracheal stenosis (as any fibrosis or adhesion of this area will lead to re stenosis, cricoid being the complete ring),ii. Functional endoscopic sinus surgery (FESS) (as any adhesion between the middle meatus and lateral wall of nose will again block the drainage of sinuses)iii. After correction of choanal atresia.Following surgery for angiofibroma and tonsillectomy, fibrosis and adhesions do not lead to any complications.Malignant otitis externa causing skull base osteomyelitis is managed by antipseudomonal antibiotics.